Jiffy denture is a type of
1. Interim immediate denture
2. Conventional complete denture
3. Fixed partial denture
4. Cast partial denture

Correct answer: 1. Interim immediate denture